False about CBD injury
1. Incidence in open cholecystectomy is 0.1-0.2 %
2. Incidence in laparoscopic cholecystectomy is 0.5-0.8%
3. After 20 cases of laparoscopic cholecystectomy incidence of bile duct injury Decreases
4. Most common reason for injury is lack of technique and errors of judgement

Correct answer: 4. Most common reason for injury is lack of technique and errors of judgement

Explanation: Most benign strictures follow iatrogenic bile duct injury A surgeon experience increases beyond 20 cases, bile duct injury rate Decreases Errors leading to Laparoscopic bile duct injuriea stem from misperception, not errors of skill, knowledge or judgement Primary cause of error in 97% cases was a visual Perceptual illusion whereas only 3% injuries were due to faults of technical skills Ref: Sabiston 20th edition Pgno :1511